Radiocontrast is contraindicated in all except –
1. Renal failure
2. Patient on metformin
3. Dehydration
4. Obesity

Correct answer: 4. Obesity

Explanation: Renal failure and dehydration are risk factors for contrast-induced nephropathy.

           "Metformin causes an increased risk of developing contrast-induced nephropathy and subsequent lactic acidosis".